True about Meig's syndrome:
1. Lymphatic dysplasia
2. 2-30 years age
3. Associated with ascites and pleural effusion
4. No treatment required

Correct answer: 3. Associated with ascites and pleural effusion

Explanation: Meig's syndrome ascites right sided hydrothorax assosiated with fibroma of ovary,Brenner,thecoma,granulosa cell tumour a friction rub present over tumor on auscultation D.C.DUTTA'S TEXTBOOK OF GYNECOLOGY.,Pg no:296,6th edition